Anticholinesterase inhibitor that binds to the anionic site is
1. Physostigmine
2. Edrophonium
3. Neostigmine
4. Echothiophate

Correct answer: 2. Edrophonium

Explanation: Neostigmine and pyridostigmine antagonize nondepolarizing neuromuscular blockade by increasing the availability of acetylcholine at the motor endplate, mainly by inhibition of acetylcholinesterase. They bind to esteric site. Edrophonium binds to anionic site. It has a more rapid onset of action but may be less effective than neostigmine in reversing the effects of nondepolarizing blockers in the presence of a profound degree of neuromuscular blockade Reference: Katzung Pharmacology; 13th edition; Chapter 8; Cholinoceptor-Blocking Drugs